Benzodiazepines are used in treatment of somnambulism, as they-
1. Increase the duration of NREM III and IV
2. Increase the duration of REM sleep
3. Decrease the duration of NREM III and IV
4. Decrease the duration of REM sleep

Correct answer: 3. Decrease the duration of NREM III and IV

Explanation: Somnambulism / Sleep walking Usually seen in children. disorder of NREM sleep No treatment is required in most of the cases ,as it remits itself. BZDs are used if the symptoms are severe as the duration of Stage 2 is increased and that of Stage 3 and 4 is decreased, in which somnambulism is seen.